Icthyosis is associated with:
1. Hodgkins disease
2. AIDS
3. Hypothyroidism
4. All

Correct answer: 4. All

Explanation: D. i.e. All